All are true about indirect ophthalmoscope except:
1. Image is real and inverted
2. Details of fundus can be seen even with slightly hazy media
3. Magnification is more than direct ophthalmoscope
4. Used for seeing periphery of fundus

Correct answer: 3. Magnification is more than direct ophthalmoscope

Explanation: C i.e. Magnification is more than direct ophthalmoscope Magnification of direct ophthalmoscope is 15 times where as of indirect ophthalmoscope is 4-5 times. Q